The persistent suppression of bacterial growth that may occur after limited exposure to some antimicrobial drug is called:
1. Time dependent killing
2. Post antibiotic effect
3. Concentration dependent killing
4. Sequential blockade

Correct answer: 2. Post antibiotic effect

Explanation: (Ref: Katzung 10/e p756) Time dependent killing kinetics is shown by aminoglycosides. Here, the killing activity depends upon thelength of time, plasma concentration is above MIC. Concentration dependent killing is shown by b lactam drugs. here, killing activity depends upon the ratio of plasma concentration to MIC. Post antibiotic effect is the suppression of bacterial growth after limit exposure to antibiotic.